Muscle which is primarily responsible for rectal continence -
1. Ext. sphincter
2. Int. sphincter
3. Puborectalis
4. Sacrococcoygeous

Correct answer: 3. Puborectalis